ICD (International Classification of Diseases) are revised once in how many years:
1. 5 years
2. 10 years
3. 15 years
4. 20 years

Correct answer: 2. 10 years

Explanation: Ans. B: 10 years ICD is revised every 10 years International Statistical Classification of Diseases and Related Health Problems, 10th Revision (known as "ICD-10") It is a medical classification list for the coding of diseases, signs and symptoms, abnormal findings, complaints, social circumstances, and external causes of injury or diseases, as maintained by the World Health Organization (WHO). The code set allows more than 14,400 different codes and permits the tracking of many new diagnoses. Using optional subclassifications, the codes can be expanded to over 16,000 codes. Using codes that are meant to be reported in a separate data field, the level of detail that is reported by ICD can be further increased, using a simplified multiaxial approach. Work on ICD-10 began in 1983 and was completed in 1992.